Which one of the following is not a feature of DiGeorge syndrome
1. Congenital heart defects
2. Abnormalities of palate
3. Hypocalcemia
4. Rocker bottom feet

Correct answer: 4. Rocker bottom feet

Explanation: Rocker bottom feet is a feature of Edward and Patau syndrome.